Duret Hemorrhages are seen in:
1. Lung
2. Spleen
3. Liver
4. Brain

Correct answer: 4. Brain

Explanation: Brain